The knoop Hardness Number of Microfilled Composite Restorative material ranges from:
1. 50 — 60 KHN
2. 25 — 35 KHN
3. 15 — 20 KHN
4. 40 — 48 KHN

Correct answer: 2. 25 — 35 KHN